A patient is diagnosed with flail chest. Patient is stable, what is the treatment?
1. Analgesia, Oxygen
2. Internal fixation of ribs
3. Positive pressure ventilation
4. Chest strapping

Correct answer: 1. Analgesia, Oxygen

Explanation: Treatment consists of oxygen administration, adequateanalgesia (including opiates) and physiotherapy. If achest tube is in situ, topical intrapleural local analgesia introduced the tube, can also be used. Ventilation is reservedfor cases developing respiratory failure despite adequate analgesiaand oxygen. Surgery to stabilize the flail segment using internal fixation of the ribs may be useful in a selected group of patients with isolated or severe chest injury and pulmonary contusion.Bailey and love 27e pg: 368